All are true about estrogen, EXCEPT:
1. Causes cholestasis
2. Used in treatment of gynacomastia
3. Used in HRT
4. Increased risk of breast cancer

Correct answer: 2. Used in treatment of gynacomastia

Explanation: They promote the development of female secondary sexual characteristics, such as breast development. So it is not used in treatment of gynaecomastia. Estrogen and other hormones are given to postmenopausal women as a part of hormone replacement therapy (HRT) in order to prevent osteoporosis as well as treat the symptoms of menopause. About 80% of breast cancers rely on supplies of the hormone estrogen to grow: they are known as hormone-sensitive or hormone-receptor-positive cancers. Suppression of production of estrogen in the body is a treatment for these cancers. Estrogens cause intrahepatic cholestasis by altering the composition of the lipid membrane and inhibiting the rate of secretion of bile into the canaliculi.